An infant presented with erythematous lesions on cheek, extensor aspect of limbs, mother has history of bronchial asthma, the probable diagnosis is -
1. Air borne Contact dermatitis
2. Atopic dermatitis
3. Seborrheic dermatitis
4. Infectious eczematoid dermatitis

Correct answer: 2. Atopic dermatitis

Explanation: Atopic dermatitis is a chronic inflammatory skin disease primarily beginning in childhood with a variable natural course with variable rates of remission.symptoms recur or continue till adulthood. Itch is the typical symptom often leads to sleep disturbance and secondary infections. Often associated with asthma and allergic rhinitis. Pathogenesis : defect in skin barrier function, fillagrin defect, altered immunological response. fitzpatrick textbook of dermatology 9th edition, page 363